The most frequent cause of scalded skin syndrome is ?
1. Staphylococci
2. Pneumococci
3. Enterococci
4. Meningococci

Correct answer: 1. Staphylococci

Explanation: Ans. is 'a' i.e., Staphylococci Toxin mediated illness caused by staphylococcus aureus are : Toxic shock syndrome Food poisoning Styphylococcus scalded-skin syndrome Toxic epidermal necrolysis